The pathogenecity of Entamoeba histolytica is indicated by -
1. Isoenzyme pattern
2. Size
3. Nuclear pattern
4. ELISA test

Correct answer: 1. Isoenzyme pattern

Explanation: Ans. is 'a' i.e.. Isoenzyme pattern [Ref: Rajesh Karyakarte p. 19}Zvmodeneo There are distinct invasive and noninvasive strains of E. histolytica. These strains vary according to their isoenzyme patterns (zymodemes).o E. histolytica strains have 22 zymodemes of these 10 zymodemes are invasive and 12 are non invasive.o Zymodemes of E. histolytica are identified according to the electrophoretic mobility of 4 enzymes.1. L-malate : NADP+ Oxidoreductase2. Phosphoglucomutase (PGM) ------ most important3. Glucose-phosphate isomerase4. Hexokinaseo Electrophoresis of PGM can show one or more of the 4 bands : a, b, y and d. Strains of E. histolytica showing, an absence of a-band together with the presence of b band are virulent i.e., invasive.